False about Dubin - Johnson syndrome
1. Liver darkly pigmented
2. Autosomal recessive
3. Unconjugated hyperbilirubinemia
4. Mutation in canalicular multidrug resistance protein 2

Correct answer: 3. Unconjugated hyperbilirubinemia

Explanation: Dubin Johnson syndrome - Conjugated hyperbilirubinemia.